Presence of budding capsulated yeast in CSF is
1. Histoplasma capsulatum
2. Coccidiomyces immitis
3. Cryptococcus neoformans
4. Blastomycetes

Correct answer: 3. Cryptococcus neoformans

Explanation: (C) Cryptococcus neoformans # Cryptococcus neoformans is round or ovoid budding cell, 4-30 mm in diameter with polysaccharide capsule,> Infection is acquired by inhalation causes pulmonary cryptococcosis, (cryptococcal meningitis is most serious type of infection seen in AIDS patients.)> Diagnosis is established by demonstration of capsulated budding yeast cells in the lesion or culture from CSR> Blastomyces is dimorphic fungus (lung and cutaneous lesion)> Histoplasma is a dimorphic fungus involving pulmonary and reticuloendothelial sys.> Coccidioides imitis is dimorphic fungus producing respiratory infection only.> Cryptococcus causes CNS infection, so can be isolated from CSR